Most common agent among the following which is associated with agranulocytosis is:-
1. Steroids
2. Alkylating agents
3. Paracetamol
4. Endotoxemia

Correct answer: 2. Alkylating agents

Explanation: Agranulocytosis results due to bone marrow suppression caused by alkylating agents. Alkylating agents are anti-cancer drugs causing the maximum bone marrow suppression. Other drugs causing agranulocytosis are: * Carbimazole * Sulfasalazine * Clozapine * Quinine